'Glassblowers shakes' are seen in poisoning due to
1. Lead
2. Copper
3. Mercury
4. Arsenic

Correct answer: 3. Mercury

Explanation: Glassblowers shakes' (hatters shake) is a form of chronic mercury poisoning occurring in workers exposed to mercury, characterized by muscle tremors, mental and behavioural changes, and stomatitis. Glassblower's cataracts are a form of cataract. They are formed by many years of exposure to infrared radiation while working. Ref: Krishan Vij textbook of forensic medicine, 5th edition pg : 473